Which of the following actions are caused by 2-4-diinitrophenol?
1. Inhibition of ATP synthase
2. Inhibition of electron transport
3. Uncoupling of oxidation and phosphorylation
4. Accumulation of ATP

Correct answer: 3. Uncoupling of oxidation and phosphorylation

Explanation: 2,4-dinitrophenol and valinomycin are two uncouplers which inhibit oxidative phosphorylation. 2,4-dinitrophenol is a potent uncoupler even in low concentrations by dissolving itself in the bi-lipid core of the inner cell membrane. Ref: Harper's Illustrated Biochemistry 27th/107; Biochemistry 3E By S C Rastogi, 2010, Page 224.